Flag sign hair are seen in -
1. Kwashiorkor
2. Beri-beri
3. Pellagra
4. Marasmus

Correct answer: 1. Kwashiorkor

Explanation: Ans. is 'a' i.e., Kwashiorkor Kwashiorkoro Triad of:o Hair changes : Changes include dyspigmentation, loss of characteristic curls and sparseness over taple.o Flag sign - Alternate band of hypopigmented and normally pigmented hair pattern.Marasmuso Severe wasting,o Monkey facies.o Baggy pant appearance - loose skin on bottom hungry down.Beri-berio Deficiency of thiamine (Vit B1)o Can be dry (neural involvement)o Wet (cardiac involvent)o AcutePellagrao Niacin (Vit B3) def.DermatitisDiarrheaDementia